Delirium tremens is characterized by confusion associated with -
1. Autonomic hyperactivity and tremors
2. Features of intoxication due to alcohol
3. Sixth nerve palsy
4. Korsakoff psychosis

Correct answer: 1. Autonomic hyperactivity and tremors

Explanation: Automatic hyperactivity with tremors occurs in delirium.